A newborn developed cleft lip and cleft palate and agenesis of the external ear canal. Which of the following drug is likely to be consumed by the mother so as in cause such type of congenital anomalies:
1. Digoxin
2. Methanol
3. ACE Inhibitors
4. Isotretinoin

Correct answer: 4. Isotretinoin

Explanation: Isotretinoin is considered one of the most potent teratogens in common use. Malformations typically involve the cranium and face, heart, central nervous system, and thymus. The craniofacial malformation most strongly associated with isotretinoin--microtia or anotia--is bilateral, but often asymmetrical. These defects frequently appear in conjunction with agenesis or stenoses of the external ear canal. Other defects include cleft palate and maldevelopment of the facial bones and cranium. The most frequent cardiac anomalies are conotruncal or outflow tract defects, and hydrocephalus is the most common central nervous system defect. Thymic abnormalities include aplasia, hypoplasia, or malposition. Ref: Cunningham F.G., Leveno K.J., Bloom S.L., Hauth J.C., Rouse D.J., Spong C.Y. (2010). Chapter 14. Teratology and Medications That Affect the Fetus. In F.G. Cunningham, K.J. Leveno, S.L. Bloom, J.C. Hauth, D.J. Rouse, C.Y. Spong (Eds), Williams Obstetrics, 23e